Diagnosis of bacterial vaginosis by microscopy of vaginal discharge is supported by all of the following, EXCEPT:
1. Absence of lactobacilli
2. Presence of clue cells
3. Abundance of polymorphs
4. Abundance of gram positive coccobacilli

Correct answer: 3. Abundance of polymorphs

Explanation: Microscopy in bacterial vaginosis shows: Clue cells in wet mount Decreased number of lactobacilli Increased number of gardnerella vaginalis POLYMORHS ARE CONSPICUOUSLY ABSENT Ref: GYNECOLOGICAL DIAGNOSIS Shaw 15 th edition page: 131-132.